Telefono is
1. Pulling of hair
2. Beating on soles
3. Beating on ears
4. Beating on fingers

Correct answer: 3. Beating on ears

Explanation: TELEFONO consists of repeated slapping of the sides of the head by open palms of the assailant this may cause rupture of ear drums. Ref : internet sources